Which of the following is not a direct route for transmission of communicable diseases?
1. Skin contact
2. Vertical
3. Droplet nuclei
4. Soil contact

Correct answer: 3. Droplet nuclei

Explanation: Ref. Foundations of Community medicine. Page. 393